Breast milk is maximum at -
1. 1-2 months
2. 3-4 months
3. 5-6 months
4. 7-8 months

Correct answer: 3. 5-6 months

Explanation: Ans. is 'c' i.e., 5-6 months o Breast milk is maximum at 5-6 months of lactation --> 730 ml/day. o It is minimum at 37-38 months of lactation --> 345 ml/day.